Not a histological feature of lichen planus is -
1. Acanthosis
2. Hyperkeratosis
3. Neutrophils in stratum corneum
4. Pigment incontinence

Correct answer: 3. Neutrophils in stratum corneum

Explanation: LICHEN PLANUS:-Inflammatory T cell mediated auto immune disorder affecting skin, hair,nails and mucous membranes.Histology:-1. Irregular acanthosis of the epidermis.2. Hypergranulosis- wedge shaped3. Compact hyperkeratosis.4. Basal cell degeneration5. Colloid bodies6. Pigment incontinence.7. Band like lympho histiocytic infiltrate obscuring the dermoepidermal interface.{Reference: IADVL textbook of dermatology,page 1070 neutrophils in stratum corneum - munro micro abcess seen in psoriasis